Which of the following statements about clinical uses of the aminoglycosides is FALSE?
1. Owing to their polar nature,aminoglycosides are not absorbed following oral adminissstration
2. Aminoglycosides are often used in combination with cephalosporibns in the empirical treatment of life-threatenting bacterial infections
3. The spectrum of antimicrobial activity of aminoglycosides includes Bacteroides fragilis
4. Gentamicin is used with ampicillin for synergistic effects in the treatment of enterococcalendocarditis

Correct answer: 3. The spectrum of antimicrobial activity of aminoglycosides includes Bacteroides fragilis

Explanation: (Ref:KDT 6/e p719, 720; Katzung 10/e p758) These are bactericidal inhibitors of protein synthesis. Due to formation of ionic nolecules in GIT, these are ineffective orally. Combination of aminoglycosides with penicillins is synergistic and is used for pseudomonas and enterococcal infections.